A person is diagnosed to have familial type IIa hyperlipoproteinemia. What is the basic defect in this type of hyperlipoproteinemia?
1. Lipoprotein lipase deficiency
2. Defective LDL receptor
3. Abnormal activity of Apo E
4. Overproduction of LDL

Correct answer: 2. Defective LDL receptor

Explanation: Familial type IIa hypercholesterolemia is associated with a defect in the LDL receptor or with a mutation in ligand region of apo B-100. These patients have elevated levels of cholesterol and LDL which in turn result in atherosclerosis and coronary heart disease. Type I hyperlipoproteinemias is associated with lipoprotein lipase deficiency or apo C II deficiency causing inactive LPL. Type III hyperlipoproteinemias is due to abnormality in apo E. Type IV hyperlipoproteinemias is due to overproduction of VLDL. Ref: Botham K.M., Mayes P.A. (2011). Chapter 26. Cholesterol Synthesis, Transport, & Excretion. In D.A. Bender, K.M. Botham, P.A. Weil, P.J. Kennelly, R.K. Murray, V.W. Rodwell (Eds), Harper's Illustrated Biochemistry, 29e.